Large bowel Colonic Diarrhoea is associated with all of the following, except:
1. Large Volume Stool
2. Urgency
3. Tenesmus
4. Mucus

Correct answer: 1. Large Volume Stool

Explanation: Answer is A (Large Stool Volume): Large Bowel Colonic Diarrhoea is typically associated with frequent small volume stools since reservoir capacity of the bowel is reduced. Right-sided (Small Bowel) diarrhea is characterized by large-volume stools. The increase in the number of stools is modest and symptoms attributed to inflammation of the recto-sigmoid are absent. Left-sided (Colonic) diarrhea is characterized by frequent, small-volume stools with obvious evidence of. inflammation Right-Sided and Left-Sided Diarrhea: Contrasts in Clinical Presentation: Feature Small-bowel Diarrhea (Right-sided) Intact Large Bowel Colonic diarrhea (Leftt-sided) Decreased Reservoir capacity Stool volume Large Small Increase in number of stools Modest Large Urgency Absent Present Tenesmus Absent Absent Mucus Absent Absent Blood Absent Present Proctosigmoidoscopy Usually Normal Usually Confirms Inflammation Mechanism Non-Specific Usually Exudative